Pirenzepine acts on which receptor ?
1. Muscarinic
2. Nicotinic
3. Alfa
4. Beta

Correct answer: 1. Muscarinic